AV fistula leads to all except
1. Sinus tachycardia
2. Increased preload
3. Cardiac arrythmias
4. Increased cardiac output

Correct answer: 3. Cardiac arrythmias

Explanation: Pathophysiology of AV Fistula: When an arteriovenous fistula is formed involving a major artery like the abdominal aorta, it can lead to a large decrease in peripheral resistance. This lowered peripheral resistance causes the heart to increase cardiac output to maintain proper blood flow to all tissues. An arteriovenous fistula can increase preload. AV shunts also decrease the afterload of the heart. This is because the blood bypasses the arterioles which results in a decrease in the total peripheral resistance (TPR). AV shunts increase both the rate and volume of blood returning to the heart.